All are true about stapedial reflex except
1. Used to find non-organic hearing loss
2. Centre of reflex is in auditary cortex
3. Tests 7th and 8th Nerve function
4. Differentiates cochleas and retrochochlear hearing loss.

Correct answer: 2. Centre of reflex is in auditary cortex

Explanation: Centre of Reflex is superior delivary complex in brainstem.